Chlamydia causes all the following diseases except?
1. Non-gonococcal urethritis
2. Pneumonia
3. Trachoma
4. Parotitis

Correct answer: 4. Parotitis

Explanation: Ans. is 'd' i.e., Parotitis